Findings of trigeminal nerve injury include:
1. Pupillary dilation
2. Loss of blinking reflex of eye
3. Persistence of jaw reflex
4. Ptosis

Correct answer: 2. Loss of blinking reflex of eye

Explanation: Trigeminal nerve has 3 branches: ophthalmic, maxillary and mandibular, the lesions results in sensory loss on face. Injury to ophthalmic nerve injury leads to loss of corneal (blink) reflex; maxillary nerve injury results in loss of sneeze reflex and in mandibular nerve injury, there is loss of jaw jerk. Muscles of mastication are paralysed in mandibular nerve injury and manifests as a deviation of the mandible toward the side of the lesion while trying to open the mouth.Note: Since the normal opposite lateral pterygoid is not being balanced, it pulls the mandible across the midline to shift it to the same side of lesion. Normally the two lateral pterygoids balance each other to protrude the jaw in the midline. Partial deafness to low pitched sound due to paralysis of tensor tympani muscle is also observed. Mydriasis and ptosis are not clinical features of trigeminal nerve injury.